Donovanosis is caused by:
1. H. ducreyi
2. T. pertenue
3. Calymmatobacterium granulomatis
4. Chlamydia trachomatis

Correct answer: 3. Calymmatobacterium granulomatis

Explanation: Ans. c. Calymmatobacterium granulomatisCalymmatobacterium granulomatis is how known as Klebsiella granulomatis (gram negative, red shaped bacterium)